In pseudocholinesterase deficiency, a drug to be used cautiously is -
1. Barbiturate
2. Succinylcholine
3. Halothane
4. Galiamine

Correct answer: 2. Succinylcholine